Management of typical febrile seizures include except –
1. Sponging
2. Paracetamol ibuprofen
3. Intermittent diazepam
4. Prophylactic phenobarbitone

Correct answer: 4. Prophylactic phenobarbitone